Hardening of sodalime done by?
1. CaCO
2. CaSO4
3. BaSO4
4. Sodium silicate

Correct answer: 4. Sodium silicate

Explanation: Ans. is 'd' i.e.,Sodium silicateSoda lime is a mixture of chemicals, used in granular form in closed breathing environments, such as general anaesthesia to remove carbon dioxide from breathing gases to avoid hypercarbia